Hirschberg test is used to detect
1. Optic atrophy
2. Squint
3. Glaucoma
4. Field defects

Correct answer: 2. Squint

Explanation: Hirschberg corneal reflex test: It is a rough but handy method to estimate the angle of manifest squint. In it the patient is asked to fixate at point light held at a distance of 33 cm and the deviation of the corneal light reflex from the centre of pupil is noted in the squinting eye. Roughly, the angle of squint is 15deg and 45deg when the corneal light reflex falls on the border of pupil and limbus, respectively. Ref:- A K KHURANA; pg num:-327